Not a polyostotic bone lesions
1. Osteochondroma
2. Fibrous dysplasia
3. Multiple myeloma
4. Anuerysmal bone cyst

Correct answer: 4. Anuerysmal bone cyst